Which of the following is not a complication of fibroid in pregnancy?
1. Preterm labour
2. Postpartum hemorrhage
3. Abortion
4. malignant transformation

Correct answer: 4. malignant transformation

Explanation: Complications of fibroid in pregnancy includes miscarriage,preterm labour,abruption,malpresentation,unengaged head at term,uterine inertia,obstructed labour,PPH,difficulties in CS,puerperal infection. Refer page no 221,222 of Text book of obstertics,sheila balakrishnan,2 nd edition.